How much iodine is required in pregnancy?
1. 150 mg/day
2. 250 mg/day
3. 350 mg/day
4. 450 mg/day

Correct answer: 2. 250 mg/day